The stability of the ankle joint is maintained by all of the following, except:
1. Plantar calcaneonavicular (spring) ligament
2. Deltoid ligament
3. Lateral ligament
4. Shape of the superior talar articular surface

Correct answer: 1. Plantar calcaneonavicular (spring) ligament

Explanation: A i.e. Plantar calcaneonavicular (spring) ligament